What does the doctrine of Res Ipsa Loquitur mean -
1. Common knowledge
2. Medical maloccurrence
3. Facts speak for itself
4. Oral evidence

Correct answer: 3. Facts speak for itself

Explanation: Ans. is 'c' i.e., Facts speak for itself Res Ipsa Loquitar* It means "the thing or fact speaks for itself"* Generally the innocence of doctor is assumed and patient has to establish the guilt* However, it is not required to prove negligence in case where doctrine of resp ipsa loquitur applies; rather the doctor has to defend himself.* In a case of professional negligence of a physician, the patient need not prove negligence.